Which of the following is used for permanent interstitial implant brachytherapy –
1. Boron
2. Cesium – 131
3. Phosphorus
4. Iridium

Correct answer: 2. Cesium – 131

Explanation: Permanent implants of interstitial brachytherapy :- Cesium -131, Yttrium, Gold - 198 (Au - 198), 125I, Radon - 222 (Rn - 222), Pallidum -103 (Pd -103).
Temporary implants of Interstitial brachytherapy :- Iridium -  192 (Ir - 192), Cesium - 137 (Cs - 137), Cobalt - 60 (Co - 60),

           Californium, Radium - 226 (Ra - 226), Tantolum.